Which bone tumour arises from an area around epiphyseal plate:
1. Osteosarcoma
2. Ewings sarcoma
3. Chondroblastoma
4. Chondromyxoid fibroma

Correct answer: 3. Chondroblastoma

Explanation: Ans. C: Chondroblastoma Chondroblastoma is a cartilaginous tumour containing characteristic multiple calcium deposits It occurs in young adults and is located around the epiphyseal plate Bone tumours: Benign tumours of cartilage origin: - Chondromyxoid fibroma Benign tumours of bone origin: - Osteoid osteoma - Osteoblastoma Chordoma is a malignant tumour of: Notochordal origin Epiphyseal: Osteoclastoma (giant cell tumour)